Most sensitive test for diagnosis of IMN ?
1. Monospot test
2. Paul Bunnel test
3. Lymphocytosis in peripheral smear
4. Culture

Correct answer: 1. Monospot test

Explanation: Ans is 'a' i.e., Monospot test